In an adult male, on per rectal examination, the following structures can be felt anteriorly except-
1. Internal iliac lymph nodes
2. Bulb of the penis
3. Prostate
4. Seminal vesicle when enlarged

Correct answer: 1. Internal iliac lymph nodes

Explanation: The following structures can be palpated by the gloved index finger inserted into anal canal and rectum in the normal person:-

1. Anteriorly
i)   In males

Opposite terminal phalanx:- Contents of the rectovesical pouch, posterior surface of bladder, seminal vesicle, and ductus deferens.
Opposite middle phalanx :- Rectoprostatic fascia and prostate.
Opposite proximal phalanx:- Perineal body, urogenital diaphragm, and bulb of the penis.

ii)  In females

Opposite terminal phalanx:- Rectouterine pouch, vagina, and cervix.
Opposite middle phalanx :- Urogenital diaphragm and vagina.
Opposite proximal phalanx:- Perineal body, and lower part of the vagina.

2. Posteriorly

Sacrum, Coccyx, anococcygeal body and anorectal ring.

3. Laterally

Ischiorectal fossae and ischial spines.